Nasal intubation is contra indicated in -
1. CSF Rhinorrhea
2. Fracture cervical spine
3. Fracture mandible
4. Short neck

Correct answer: 1. CSF Rhinorrhea

Explanation: Indications : Cervical spine instability,trismus,Intraoral mass, severe angioedema Contraindications Absolute : Epiglotitis,Basilar skull fractures,significant mid face fractures Relative : Large nasal mass, nasal foreign body, recent nasal instrumentation, Epistaxis,CSF rhinorrhea, nasal or upper airway hematoma or infection